Dent's disease is characterized by all except
1. Chloride channel defect
2. Males are affected
3. Nephrolithiasis
4. Defect in limb of Loop of Henle

Correct answer: 4. Defect in limb of Loop of Henle

Explanation: Answer- D. Defect in limb of Loop of HenleDent's disease refers to heterogenous group of X-linked disorders. It b characterized by manifestations of proximal tubule dysfunction (PT) dysfunction associated with hypercalciuria nephrolithiasis, nephrocalcinosis and progressive renalfailureThese features are found in males only.mutation in gene encoding CLS-S, a Voltage gated Chloide channel.